Feature of exudates pleural effusion is
1. Pleural fluid protein: Serum protein ratio> 0.5
2. Pleural fluid protein: Serum protein ratio> 0.8
3. Pleural fluid protein: Serum protein ratio<0.5
4. Pleural fluid protein: Serum protein ratio> 1.0

Correct answer: 1. Pleural fluid protein: Serum protein ratio> 0.5

Explanation: According to Light's criteria for distinguishing pleural transudate from exudate,exudate is likely if one or more of the following criteria are met-Pleural fluid protein:serum protein ratio>0.5;Pleural fluid LDH:serum LDH ratio>0.6;Pleural fluid LDH>2/3 rds of the upper limit of normal serum LDH. Reference:Davidson's medicine-22nd edition,page no:662.